Taurine seen in bile acid metabolism is synthesized from which amino acid ?
1. Serine
2. Cysteine
3. Methionine
4. Glycine

Correct answer: 2. Cysteine

Explanation: Ans. is 'b' i.e., Cysteine Taurine is synthesized from cysteine. Synthesis of other important amino acid is as follows :? Glutamate is synthesized from a-ketoglutarate by enzyme glutamate dehydrogenase. Glutamine is synthesized from glutamate by enzyme glutamine synthase. Alanine is synthesized from pyruvate by transamination. Aspartate is synthesized from oxaloacetate by transamination. Asparagine is synthesized from aspartate by enzyme asparagine synthase. Serine is synthesized from 3-phosphoglycerate (a glycolytic intermediate). It can also be synthesized from glycine as conversion of serine to glycine is reversible. Glycine is synthesized from (i) glyoxylate and glutamate or alanine; (ii) choline; and (iii) serine Proline is synthesized from glutamate Cysteine is synthesized from methionine and serine Tyrosine is synthesized from phenylalanine.